Thorium induced tumor is which of the following
1. Renal cell carcinoma
2. Lymphoma
3. Angiosarcoma of liver
4. Astrocytoma

Correct answer: 3. Angiosarcoma of liver

Explanation: Ref Robbins 9/e p519 Angiosarcoma of liver is a highly aggressive tumor which is associated with exposure to: Vinyl chloride Arsenic Thorotrast Thorotrast is a suspension containnig particles of the radioactive compound thorium dioxide .it emits alpha particles due to which it has been found to be extremely carcinogenic